Commonest posterior mediastinal tumour is -
1. Lung cyst
2. Neurofibroma
3. Dermoid
4. Thyroid

Correct answer: 2. Neurofibroma